Which of the following drugs inhibit an enzyme in the prostaglandin synthesis ?
1. Aminocaproic acid
2. Aspirin
3. Aprotinin
4. Alteplase

Correct answer: 2. Aspirin